Which prominent ocular manifestation is associated with Marfan's syndrome :
1. Microcornea
2. Microspherophakia
3. Megalocornea
4. Ectopia lentis

Correct answer: 4. Ectopia lentis

Explanation: D i.e. Ectopia lentis